All of the following form the floor of third ventricle, except
1. Infundibulum
2. Occulomotor nerve
3. Mammillary body
4. Optic chiasma

Correct answer: 2. Occulomotor nerve

Explanation: Floor of third ventricle is formed from before backward by :Optic chiasmaTuber cinerum & infundibulumMammillary bodiesPosterior perforated substanceTegmentum of midbrain(Ref: Vishram Singh textbook of clinical neuroanatomy second edition pg 137)